A young person presents with self mutilating behaviour and impulsivity. What is he most likely suffering from?
1. Dependent personality disorder
2. Borderline personality disorder
3. Adjustment disorder
4. Paranoid personality disorder

Correct answer: 2. Borderline personality disorder

Explanation: The primary features of borderline personality disorder (BPD) are unstable interpersonal relationships, affective distress, marked impulsivity, and unstable self-image. Individuals with BPD tend to experience frequent, strong and long-lasting states of aversive tension, often triggered by perceived rejection, being alone or perceived failure. They may show changeability between anger and anxiety or between depression and anxietyand temperamental sensitivity to emotional stimuli. The negative emotional states specific to BPD fall into four categories: destructive or self-destructive feelings; extreme feelings in general; feelings of fragmentation or lack of identity; and feelings of victimization.